Most common congenital anomaly of pancreas is?
1. Pancreatic divisum
2. Accessory pancreas
3. Annular pancreas
4. Developmental pancreatic cysts

Correct answer: 1. Pancreatic divisum

Explanation: .PANCREATIC DIVISUM-It is failure of fusion of ventral pancreatic duct (Wirsung's duct is opening distally) with dorsal pancreatic duct (Santorini's duct is opening proximally). ANNULAR PANCREAS-It is due to failure of complete rotation of ventral bud of pancreas, so that ring of pancreatic tissue encircles the 2nd part of the duodenum causing obstruction. ECTOPIC (ACCESSORY) PANCREATIC TISSUE- Sites * Stomach wall. * Small intestine. * Meckel's diverticulum. * Greater omentum. * Splenic hilum. - In the bowel it may be in the submucus or intramuscular plane. It may precipitate intussusception. - About 30-33% contain islet of Langerhan cells. Often endocrine pancreatic tumour can arise from ectopic pancreas. - It may cause upper GI bleed. ref:SRB'S manual of surgery,ed 3,pg no 642